Drug of choice for treating anaphylaxis is:
1. Adrenaline
2. Corticosteroid
3. Antihistaminics
4. Sodium chromoglycate

Correct answer: 1. Adrenaline